Most common disease caused by CMV in post-bone-marrow transplant patients -
1. Pyelonephritis
2. Meningitis
3. Pneumonia
4. Gl ulceration

Correct answer: 3. Pneumonia

Explanation: Pneumonia is the most common disease caused by CMV in post-bone-marrow transplant patients -